Nasopalatine cyst arises from
1. A Embryonic remnants of nasopalatine duct
2. Cell rest of malassez
3. Cell rest of serre
4. Cell remnants of maxillary sinus

Correct answer: 1. A Embryonic remnants of nasopalatine duct

Explanation: Nasopalatine cyst is also known as incisive canal cyst.